In an average adult the distance between opening of sphenoid sinus and nasal spine is:
1. 5 cm
2. 6 cm
3. 7 cm
4. 8 cm

Correct answer: 3. 7 cm

Explanation: Anterior wall of sphenoid lies approximately 7 cm from anterior nasal spine at an angle of 30deg.